which of the following antimicrobials should not be given to a 4C asthmatic patient managed on theophylline therapy ?
1. ERYTHROMYCIN
2. CEFOTIXIME
3. COTRIMOXAZOLE
4. AMOXICILLIN

Correct answer: 1. ERYTHROMYCIN

Explanation: THEOPHYLLIN + ERYTHROMYCIN = QT PROLONGATION REF : KD TRIPATHI 8TH ED